Laser used in laser doppler flowmetry is:
1. Argon laser.
2. HeNe laser.
3. CO2 laser.
4. Nd:YAG laser.

Correct answer: 2. HeNe laser.

Explanation: 632.8nm HeNe laser is used which is near to IR laser.